Which is NOT a function of gastrin?
1. Stimulation of gastric acid
2. Stimulation of pepsin
3. Stimulation of growth of the gastric mucosa
4. Stimulation of direct cholesterol absorption

Correct answer: 4. Stimulation of direct cholesterol absorption

Explanation: Stimulation of cholesterol absorption is not a function of gastrin. Gastrin has been shown to have effects on gut motility (increase). Pepsin release by gastrin is for breakdown of food into smaller particles for further digestion. Growth of the gastric mucosa is also dependent upon gastrin. Gastrin also causes concentration of the musculature that closes the gastroesophageal junction. It stimulates insulin and glucagon secretion, but only after a protein meal and not a carbohydrate meal. Ref: Barrett K.E., Barman S.M., Boitano S., Brooks H.L. (2012). Chapter 25. Overview of Gastrointestinal Function & Regulation. In K.E. Barrett, S.M. Barman, S. Boitano, H.L. Brooks (Eds), Ganong's Review of Medical Physiology, 24e.